Gynaecomastia is caused by -
1. Spironolactone
2. Rifampicin
3. Thiazide
4. Propranolol

Correct answer: 1. Spironolactone

Explanation: Ans. is 'a' i.e., Spironolactone Drugs causing gynecomastia Calcium channel antagonist o Isoniazide o Reserpine o Clomiphene o Ketoconazole Digitalis o Methyldopa o Estrogens o Phenytoin o Cimetidine Ethionamide o Testosterone o Griseofulvin o Spironolactone